All of the following muscles have dual nerve supply, EXCEPT?
1. Brachialis
2. Pectineus
3. Flexor digitorum superficialis
4. Flexor digitorum profundus

Correct answer: 3. Flexor digitorum superficialis

Explanation: Flexor digitorum superficialis muscle primarily produces flexion at the wrist and at the metacarpophalangeal and proximal interphalangeal joints. Innervation is provided by the median nerve (C8-T1).The brachialis muscle is supplied by musculocutaneous nerve (C5-C6) and radial nerve (C7).The femoral nerve (L2 and L3) innervates pectineus muscle, with occasional branches from the obturator nerve.The lateral half of the flexor digitorum profundus muscle is innervated by the anterior interosseous nerve from the median nerve (C8-T1), and the medial half of the muscle is innervated by the ulnar nerve (C8-T1).